In systemic circulation, 2/3rd of resistance to the flow of Blood is offered by
1. Small arteries
2. Arterioles
3. Capillaries
4. Venules

Correct answer: 2. Arterioles